Purkinje cells from cerebellum end in
1. Cranial nerve nuclei
2. Extra pyramidal system
3. Cerebral cortex
4. Cerebellar nuclei

Correct answer: 4. Cerebellar nuclei

Explanation: Purkinje cells from cerebellum and in inRt deep cerebellar nuclei Ref: guyton and hall textbook of medical physiology 12 edition page number:780,781,782